A 50 yr. old woman underwent debulking surgery for advanced epithelial ovarian cancer. What standard adjuvant therapy would be recommended for this woman?
1. Paclitaxel and carboplatin for six cycles
2. Paclitaxel and carboplatin for six cycles and radiotherapy
3. Paclitaxel for six cycles and radiotherapy
4. Radiotherapy alone

Correct answer: 1. Paclitaxel and carboplatin for six cycles

Explanation: Ans. A. Paclitaxel and carboplatin for six cyclesAdjuvant therapy for ovarian cancer:a. Stage I, grade 1 = no adjuvant chemotherapy after complete staging laparotomyb. High grade, high risk stage I = carboplatin + paclitaxel for 3 - 6 cyclesc. Advanced ovarian malignancy = treatment is surgical debulking followed by chemotherapy.d. Chemotherapy = carboplatin + paclitaxel for 6 - 8 cycles.